The frequent mechanism in perforation of appendix is?
1. Impacted faecolith
2. Tension gangrene due to the accumulating secretions
3. Necrosis of lymphoid patch
4. Retrocaecal function

Correct answer: 2. Tension gangrene due to the accumulating secretions

Explanation: Ans. is 'b' i.e., Tension gangrene due to the accumulating secretions